Typical CECT finding to suggest the diagnosis of pseudomyxoma peritonei is:
1. Scalloping of the visceral surfaces of the liver and spleen
2. Ascites with increased HU units
3. Peritoneal seedlings
4. Pseudokidney sign

Correct answer: 1. Scalloping of the visceral surfaces of the liver and spleen

Explanation: CT-scan findings may be pathognomonic for pseudomyxoma peritonei, Typical CT appearance 1. Areas of low attenuation, with islands of higher attenuation due to solid elements within mucinous material. 2. Classically scalloping of visceral surfaces, particularly of the liver and spleen Ref: World J Gastrointest Oncol 2010 January 15; 2(1): 44-50.